Causative organism of rheumatic fever -
1. Group A Streptococci
2. Staphylococci
3. Group B Streptococci
4. Group D Streptococci

Correct answer: 1. Group A Streptococci

Explanation: Ans. is 'a' i.e., Group A Streptococci Rheumatic fevero Rheumatic fever (RF) is an acute, inununologically mediated, multisystem inflammatory disease classically occurring a few weeks after an episode of group A streptococcal pharyngitis; occasionally, RF can follow streptococcal infections at other sites, such as the skin.